A man using nasal drops continuously for long period of time. What can be the possible adverse effect?
1. Mulberry turbinate
2. Allergic rhinitis
3. Vasomotor rhinitis
4. Rhinitis Medicamentosa

Correct answer: 4. Rhinitis Medicamentosa

Explanation: ANSWER: (D) Rhinitis MedicamentosaREF: Dhingra's ENT 4th edition page 146,160"Excessive use of nasal drops and sprays should be avoided because it may lead to rhinitis medicamentosa. It is treated by withdrawal of nasal drops, short course of systemic steroid therapy and in some cases, surgical reduction of turbinates, if they have become hypertrophied"